Latent phase of labour is followed by :
1. Accelerated phase
2. Phase of maximum slope
3. Deceleration phase
4. 2nd stage of labour

Correct answer: 1. Accelerated phase

Explanation: Accelerated phase